Diagnostic test commonly used to determine the status
of vitality of pulp is:
1. Radiography
2. Thermal testing
3. Computerized axial tomography scanning
4. Percussion and palpation

Correct answer: 2. Thermal testing